All of the following agents are used for emergency contraception, EXCEPT
1. Combined Pill
2. Levonorgestrel
3. Misoprostol
4. Mifepristone

Correct answer: 3. Misoprostol

Explanation: Emergency contraceptive is means of contraception used after act of unprotected intercourse. Misoprostol is a prostaglandin which is an excellent agent for causing early and mid trimester abortions but as an emergency contraceptive it has no role as there is no pregnancy to abort in the first three days of intercourse. Emergency contraceptives IUCD: Can prevent implantation up till 5th day of unprotected inter-course Progesterone only pill: LNG 1.5 mg :can reduce tubal motility , make endometrium 'Out of Phase" for implantation of embryo Combined Pill: the Yuzpe regimen can prevent embryo implantation since the estrogen component makes the endometrium unreceptive. Mifepristone, Antiprogestin, RU 486, prevents implantation Ulipristal acetate: SPRM: Selective progesterone receptor modulator